In essential hypertention changes seen in the heart are -
1. Cardiac cell hyperplasia
2. Cardiac cell hypertrophy
3. Increase in the mitochondrial number
4. Increase in size of mitochondria

Correct answer: 2. Cardiac cell hypertrophy